A girl with mild von willebrand disease has a previous history of heavy bleeding during tooth extraction. What is the prophylaxis to be given before tooth extraction?
1. Desmopressin
2. Blood transfusion
3. Fresh frozen plasma
4. Cryoprecipitate

Correct answer: 1. Desmopressin

Explanation: In patients of von Willebrand disease, DDAVP can be given intra-nasally 2 hours before a procedure like dental extraction- mild to moderate risk of bleeding and can be repeated 12-24 hours. Aminocaproic acid or Tranexamic acid is an important therapy either alone or in an adjunctive capacity particularly for the prevention or treatment of mucosal bleeding.